A 20 yr old girl presents with 9 month history of neck swelling with thyrotoxic symptoms. On investigation increased T4 and decreased TSH with palpable 2 cm nodule was found. Next investigation will be
1. USG
2. Thyroid scan
3. Radioactive iodine uptake
4. CT scan

Correct answer: 2. Thyroid scan